Maximal level of cardiac output is seen at:
1. 22-26 weeks of pregnancy
2. 26-30 weeks of pregnancy
3. 30-34 weeks of pregnancy
4. 34-38 weeks of pregnancy

Correct answer: 3. 30-34 weeks of pregnancy

Explanation: Ans. C: 30-34 Weeks of Pregnancy The cardiac output starts to increase from 5th week of pregnancy and reaches its peak 40-50% at about 30-34 weeks. Cardiac output increase further during labour (+50%) and immediately following delivery (+70%) It returns to pre-pregnancy level by 4 weeks time after labour.